In the surgical procedure LASIK, the shape of the cornea may be flattened. This will result in which of the following?
1. Decreased refraction of light by the cornea
2. A decreased amount of light entering through the cornea
3. Conversion of the cornea from a "stationary" to an "adjustable" form of refraction
4. Maintenance of the lens in a more flattened state

Correct answer: 1. Decreased refraction of light by the cornea

Explanation: Decreased refraction of light by the cornea * LASIK has largely replaced radial, or refractive, keratotomy. Both methods can be used to decrease the refraction of light by the cornea. * LASIK alters corneal (not lens) anatomy to create a new shape that is more flattened in the center and higher at the periphery of the cornea. This occurs because intraocular pressure will cause a reshaping of the cornea due to induced weakness produced by the laser removal of tissue. * The purpose of the procedure is to reduce myopia to eliminate the need for corrective lenses. * The reduction in curvature of the central portion of the cornea results in decreased refractive power of the cornea. * The removal of tissue and the degree of correction required is estimated by computer simulations.